3rd person hallucinations are characteristic of:
1. Depression
2. Schizophrenia
3. Obsession
4. Mania

Correct answer: 2. Schizophrenia

Explanation: Ans. B: SchizophreniaFRS of schizophrenia includes: Voices heard arguing: Two or more hallucinatory voices discussing the subject in third personSchizophrenia:First rank symptoms:HallucinationDelusional perceptionThought alienation phenomenon:Thought withdrawlThought insertionThought broadcastingPassivity phenomenonBleulers criteria:- Ambivalence- Autism- Affect disturbance- Association disturbanceAuditory hallucination in schizophrenia:- MC hallucination1st symptom which goes after treatment- 1st symptom, which re-appears after resistance to drugsMC type: ParanoidCatatonic schizophrenia:Defect of conation- Echolalia (repetition of words)Echopraxia- Negativism- Mannerism and grimacing- Automatic obedience- Cataplexy (NOT catalepsy)Late onset schizophrenia: More than 40 yearsLate onset, best prognosis: CatatonicEarly onset, poor prognosis: HebephrenicAcute onset: Carries good prognosisWorst prognosis: Simple schizophreniaAmphetamine causes: Paranoid schizophrenia